In dermatomyositis which is not seen
1. Salmon patch
2. Gottron's papules
3. Peringual telangiectasia
4. Mechanic finger

Correct answer: 1. Salmon patch

Explanation: *DM is a distinct entity identified by a characteristic rash accompanying or more often preceding muscle weakness. this includes heliotrope rash ,erythema of knuckles with a raised violaceous scaly eruption(Gottron's sign). *Dilated capillary loops at the base of fingernails are also characterised *Palma areas of fingers may become rough and cracked with irregular dirty horizontal lines resembling mechanics hands. Ref Harrison20th edition pg 2367